Flupirtine is
1. Local Anesthetic
2. Analgesic
3. Anti anxiety
4. Anti hypertensive

Correct answer: 2. Analgesic

Explanation: Flupirtine is a centrally acting non-opioid analgesic. It is unique as a non-opioid, non-NSAID, Nonsteroidal analgesic. It is a centrally acting, non-opioid analgesic with N-methyl D aspartate (NMDA) receptor antagonist property which has been shown to be effective in the management of postoperative pain.